Posterior ethmoid sinus opens in which meatus?
1. Superior
2. Middle
3. Inferior
4. Spenoethmoidal recess

Correct answer: 1. Superior

Explanation: Ans. is 'a' i.e., Superior